The muscle that crosses both shoulder and elbow joint -
1. Coracobrachialis
2. Medial head of triceps
3. Biceps brachii
4. Brachialis

Correct answer: 3. Biceps brachii